False about Rhinosporidiosis is
1. Common is kerala & orissa
2. Histopathology reveals spherules
3. Dapsone has found to be effective
4. R. Seeberi is cultured on SDA

Correct answer: 4. R. Seeberi is cultured on SDA

Explanation: R. seeberi is non-cultivable fungi.